Deep vein thrombosis is seen in all except one ?
1. Prolonged immobilization
2. Subungual melanoma
3. Pregnancy
4. Major surgical operation

Correct answer: 2. Subungual melanoma

Explanation: Ans is 'b' ie Subungual melanoma Risk factors for venous thromboembolism Patient Factors Disease or surgical procedure Age Trauma or surgery, especially. of pelvis, hip, lower limb Obesity Malignancy, especially pelvic, abdominal metastatic Varicose veins /superficial thrombophlibits Heart failure Immobility Recent myocardial infraction Pregnancy Paralysis of lower limb(s) Puerperium Infection High-dose oestrogen therapy Inflammatory bowel disease Previous deep vein thrombosis or pulmonary embolism Nephrotic syndrome Thrombophilia Polycythaemia Deficiency of anti-thrombin III, protein C or protein S Paraproteinaemia Anti-phospholipid Paroxysmal nocturnal haemoglobinuria antibody or lupus anticoagulant Behcet's disease Homocystinaemia